Shingles is the other name for –
1. Herpex simplex
2. Varicella
3. Herpes Zoster
4. Herpes labialis

Correct answer: 3. Herpes Zoster

Explanation: Herpes zoster is also referred to as shingles.